Improvement in nasal patency by retracting the lateral part of the cheek and thus testing the vestibular component of nose is -
1. Epley's maneuver
2. Cottle's test
3. Schwartz maneuver
4. Helmich maneuver

Correct answer: 2. Cottle's test

Explanation: Ans. is 'b' i.e., Cottle's test Cottle's test:* It is used in nasal obstruction due to abnormality of the nasal valve. In this test, cheek is drawn laterally while the patient breathes quietly. If the nasal airway improves on the test side, the test is positive and indicates abnormality of the vestibular component of nasal valve.